Abscess related to sternocleidomastoid -
1. Bezold abscess
2. Luc abscess
3. Citelli abscess
4. Parapharyngeal abscess

Correct answer: 1. Bezold abscess

Explanation: Ans. is 'a' i.e., Bezold abscess o Acute mastoiditis can be complicated by following abscesses: -1) Postauricular abscess:- This is the commonest subperiosteal abscess associated with acute mastoiditis. It occurs lateral to the cortex of mastoid in MacEwen's triangle.2) Bezold abscess:- Pus passes through mastoid tip and presents as upper neck swelling. The abscess may:-i) Lies deep to sternocleidomastoidii) Follow the posterior belly of diagastric and presents swelling between mastoid tip and angle of jaw.iii) Be present in posterior triangleiv) Reach the parapharyngeal pouchv) Track down along the carotid vessels.3) Zygomatic abscess: - Infection of zygomatic air cells.4) Meatal (Luc9s) abscess:- Pus passes between the antrum and external osseous meatus.5) Citelli's abscess:- Abscess is formed behind the mastoid more towards occipital bone. Some consider it as abscess of diagastric triangle.6) Parapharyngeal and retropharyngeal abscess.